Investigation of choice for evaluating a renal mass is ?
1. Plain X-ray
2. CT scan
3. IVP
4. Renal scintigraphy

Correct answer: 2. CT scan

Explanation: Ans. is'b'i.e., CT scan (Ref: Grainger &/e p.881) "Computed Tomography is still the investigation of for evaluating and characterizing solid renal masse